Best definitive investigation for carcinoma breast is?
1. Biopsy
2. FNAC
3. USG
4. Mammography

Correct answer: 1. Biopsy

Explanation: Ans. (a) BiopsyRef: Bailey & Love 25th ed. / 289, 290